Which of the following transport processes is passive?
1. Co-transport of Na+ ion and a molecule into cell
2. Exchange of K+ ion outside the cell for Na+ ion inside the cell
3. Flow of H2O through cell membrane by osmosis
4. Uptake of molecules into cell by endocytosis

Correct answer: 3. Flow of H2O through cell membrane by osmosis

Explanation: Osmosis is the movement of water molecules across a semi-permeable membrane from a region of Lower solute concentration to an area of higher solute concentration. It is passive in nature. (REF: TEXTBOOK OF MEDICAL PHYSIOLOGY GEETHA N 2 EDITION, PAGE NO - 3)